Which of the following is the most common cause of meningoencephalitis in children -
1. Mumps
2. Arbovirus
3. HSV
4. Enterovirus

Correct answer: 4. Enterovirus

Explanation: Ans. is 'd' i.e., Enterovirus "Enteroviruses are the most common cause of meningoencephalitis"